In endemic area, most sensitive indicator of recent transmission of malaria is
1. Infant parasite site
2. Spleen rate
3. ABER
4. API

Correct answer: 1. Infant parasite site